In a chronic alcoholic, all the following may be seen in the liver except -
1. Fatty degeneration
2. Chronic hepatitis
3. Granuloma formation
4. Cholestatic hepatitis

Correct answer: 3. Granuloma formation

Explanation: Alcoholic liver disease
There are three distinct forms of liver disease -
1. Hepatic steatosis (fatty liver)
2. Alcoholic hepatitis
(a) Acute alcoholic hepatitis
     Focal necrosis
     Cholestasis
     Mallory hyaline bodies
(b) Chronic hepatitis
3. Alcoholic cirrhosis